Predisposing factor for arterial thrombosis:
1. AT III deficiency
2. Protein S deficiency
3. Protein C deficiency
4. Homocystenemia

Correct answer: 4. Homocystenemia

Explanation: Answer is D (Homocystenemia) Homoeystenemia is associated with increased risk of arterial thrombosis. Deficiency of AT III, Protein C and Protein S predisposes to venous thrombosis and not arterial thrombosis. Abnormality Arterial Venous Factor V Leiden mutation -- + Prothrombin -- + Antithrombin III -- + Protein C -- + Protein S -- + Homorysteinemia + + Antiphospholipid syndrome + +